Hemolytic uremic syndrome is caused by ?
1. EIEC
2. Shigella
3. Salmonella
4. Cholera

Correct answer: 2. Shigella

Explanation: Ans. is 'b' i.e., Shigella